Which of the following is seen in the ovulatory phase
1. Inhibin A is increased
2. FSH increases steroid synthesis in granulosa cells
3. Stimulation of continuation of reduction division of oocytes
4. Activin causes FSH to act on granulosa cells

Correct answer: 3. Stimulation of continuation of reduction division of oocytes

Explanation: Ovulation

The combined LH/FSH midcycle surge is responsible for the final stage of maturation of the follicle,
completion of the first meiotic division of oocyte with extrusion of first polar body and expulsion of oocyte